Most common ASD in down syndrome is ?
1. Ostium primum
2. Ostium secondum
3. Absent atrial septum
4. Sinus venosum

Correct answer: 1. Ostium primum

Explanation: Ans. is 'a' i.e., Ostium primum